Treatment of choice of Bell's palsy is
1. Surgical decompression
2. Corticosteroids
3. Electrical stimulation
4. Antiviral drugs

Correct answer: 2. Corticosteroids

Explanation: Prednisolone is the drug of choice. Steroids prevent synkinesis and crocodile tears and shorten recovery time of facial paralysis. Ref: Dhingra 6th edition pg. 95